Patient with cirrhosis is positive HBs Ag+ and has increased levels of alpha feto protein. What is the most probable diagnosis ?
1. Submassive hepatic necrosis
2. Hepatocellular carcinoma
3. Massive hepatic necrosis
4. None of the above

Correct answer: 2. Hepatocellular carcinoma

Explanation: Ans. is `b' i.e., Hepatocellular carcinoma Cirrhosis, hepatitis B positive and alpha fetoprotein strongly suggests hepatocellular carcinoma.